The most common inherited from of aplastic anaemia
1. Fanconi anaemia
2. Schwachman-Diamond syndrome
3. Diamond-Blackfan anaemia
4. Dyskeratosis Congenita

Correct answer: 1. Fanconi anaemia

Explanation: Answer- A. Fanconi anaemiaMost common inherited congenital anemia is Fanconis anemia.